Which of the following terms best describes the antagonism of leukotrienes' bronchoconstrictor effect (mediated at the leukotriene receptors) by terbutaline (acting at the adrenoceptors) in a patient with asthma ?
1. Pharmacologic antagonist
2. Partial agonist
3. Physiologic antagonist
4. Chemical antagonist

Correct answer: 3. Physiologic antagonist